Which of the following brain tumor arises from arachnoid villi
1. Medulloblastoma
2. Ependymoma
3. Meningioma
4. Glioma

Correct answer: 3. Meningioma

Explanation: Meningioma s are benign intracranial tumors that arise from the cap layer of meningothelial cells of the arachnoid matter. GENERAL & SYSTEMIC PATHOLOGY- RAMDAS NAYAK PAGE NO:710